A child has 12 permanent and 12 deciduous teeth, what is his age:
1. 8 ½ years
2. 11 ½ years
3. 4 ½ years
4. 13 ½ years

Correct answer: 1. 8 ½ years